Dilatation of upper lobe veins is a reliable sign of:
1. Cardiac decompensation
2. Pulmonary ht.
3. Emphysema
4. Silicosis

Correct answer: 1. Cardiac decompensation

Explanation: Ans. Cardiac decompensation